In patients with facial disproportion producing malocclusion
1. an osteotomy alone in the mandibular ramus can be used to close an anterior open bite.
2. a sagittal split osteotomy commonly produces inferior dental nerve paraesthesia
3. an intra oral vertical sub sigmoid osteotomy is appropriate for treating mandibular retrognathia.
4. following a down fracture of the maxilla at Le Fort I level the blood supply to the alveolus relies only on the integrity of the greater palatine artery

Correct answer: 2. a sagittal split osteotomy commonly produces inferior dental nerve paraesthesia